Amnion nodosum has which of the following characteristics?
1. Generalized amnion thickening
2. Multiple, redundant folds of amnion
3. Multiple, small, tan amnionic lesions
4. Multiple, small fenestrations in the amniochorion

Correct answer: 3. Multiple, small, tan amnionic lesions

Explanation: Amnion nodosum is a placental lesion consisting of numerous small, light-tan nodules on the amnion that overlies the placenta. It is considered a hallmark of prolonged and severe oligohydramnios. It is also associated with multiple pregnancy, perinatal mortality, macerated stillbirths, and chronic twin-transfusion syndromes.